Which of the following properties is the most trouble some for composite materials used for posterior restorations?
1. Wear resistance
2. Water sorption
3. Coefficient of thermal expansion
4. Compressive strength

Correct answer: 1. Wear resistance